The therapeutic efficacy of antihypertensive drugs is blunted by NSAIDs because they :
1. Cause sodium excretion
2. Increase the clearance of antihypertensive drugs
3. Decrease the absorption of antihypertensive drugs
4. Decrease the synthesis of vascular prostacyclin

Correct answer: 4. Decrease the synthesis of vascular prostacyclin